Most common site for diverticulosis is?
1. Sigmoid colon
2. Ascending colon
3. Transverse colon
4. Spleenic flexure

Correct answer: 1. Sigmoid colon

Explanation: Ans. is 'a' i.e., Sigmoid colon The sigmoid colon is the most common site of diverticulosis.